Not a barrier contraceptive among the following is
1. Diaphragm
2. Condom
3. Today
4. Centchroman

Correct answer: 4. Centchroman

Explanation: Centchroman 

Non-hormonal contraceptive pill
It is a selective estrogen receptor modulator